Chondrosarcoma
1. Intramedullary
2. Juxtracoical
3. Both
4. None

Correct answer: 3. Both

Explanation: Refer Robbins page no Pg 8th 1228 Chondrosarcomas are malignant tumors that produce cartilage. They are subclassified histologically as conven- tional (hyaline cartilage producing), clear cell, dedifferenti- ated, and mesenchymal variants. Conventional tumors are further subdivided by site as central (intramedullary) and peripheral (juxtacortical). Conventional central tumors con- stitute about 90% of chondrosarcomas. Chondrosarcoma is about half as common as osteosarcoma and is the second most common malignant matrix-producing tumor of bone. Individuals with chondrosarcoma are usually in their 40s or older. The clear cell and especially the mesenchymal variants occur in younger patients, in their teens or 20s. These tumors affect men twice as frequently as women. Chondrosarcomas commonly arise in the axial skeleton, especially the pelvis, shoulder, and ribs. Unlike benign enchondroma, the distal extremities are rarely involved. On imaging, the calcified matrix appears as foci of flocculent densities. A slow-growing, low-grade tumor causes reac- tive thickening of the cortex, whereas a more aggressive high-grade neoplasm destroys the cortex and forms a soft tissue mass. The clear cell variant is unique in that it origi- nates in the epiphyses of long tubular bones